True about hypnotic drugs is:
1. Slower onset and longer duration
2. Slower onset and shorter duration
3. Quicker onset and longer duration
4. Quicker onset and shorter duration

Correct answer: 4. Quicker onset and shorter duration

Explanation: Ans. D: Quicker onset and shorter duration Those with quicker onset, shorter duration and steeper dose-response curves are preferred as hypnotics, while more slowly acting drugs with flatter dose-response curves are employed as sedatives